All of the following diseases are having a strong asscoiation with peptic ulcer disease, EXCEPT:
1. COPD
2. Coronary artery disease
3. Chronic renal failure
4. Nephrolithiasis

Correct answer: 2. Coronary artery disease

Explanation: Diseases with strong association with peptic ulcer disease (1) systemic mastocytosis, (2) chronic pulmonary disease, (3) chronic renal failure, (4) cirrhosis, (5) nephrolithiasis, and (6) alpha 1-antitrypsin deficiency. Diseases with a possible association are (1) hyperparathyroidism, (2) coronary artery disease, (3) polycythemia vera, and (4) chronic pancreatitis. Ref: Harrisons principles of internal medicine, 18th edition, Page: 2444